The Cubital Fossa is bounded laterally by the?
1. Biceps
2. Triceps
3. Brachioradialis
4. Coracobrachialis

Correct answer: 3. Brachioradialis

Explanation: Brachioradialis